A neonate presents with bilious vomiting. What is the first investigation __________
1. Abdomen X-ray
2. Baby gram
3. CT
4. USG

Correct answer: 1. Abdomen X-ray

Explanation: In contrast, intestinal malrotation, a congenital anomaly in rotation of the midgut as it forms, presents as intermittent bilious vomiting, usually with significant abdominal distension. Bilious or bile-stained vomiting should be treated as a potential surgical emergency. Reference: GHAI Essential pediatrics, 8th edition Nutrition Chapter